Lesion of globus pallidus causes-
1. Chorea
2. Athetosis
3. Hemibalismus
4. Flexion dystonia

Correct answer: 2. Athetosis

Explanation: Ans is 'b' i.e., Athetosis Clinical syndromes which result from damage to Basal gangliao AthetosisQo Continuous writhing movement of the hand, arm, neck or face,o Occurs due to lesion in globus palliduso HemiballismusQo Sudden flailing movement of an entire limbo Occurs due to lesion in subthalamic nucleuso ChoreaQo Flicking movement in the hands face and other paris of the bodyo Lesion in caudate nucleusQ and putamenQo Parkinsons diseaseQo RigidityQ, BradykinesiaQ and tremoro Lesion in neurons of substantia nigraQ.